Mercury rich condition in a slow setting amalgam alloy system in a restoration results in
1. Accelerated corrosion
2. Fracture of the restoration
3. Marginal damage
4. All of the above

Correct answer: 4. All of the above